Hypomagnesemia is seen in all Except
1. Gitelman syndrome
2. Hungry bone disease
3. Paget disease
4. Prolonged thiazide therapy

Correct answer: 3. Paget disease

Explanation: Ref - researchgate.net